In Longitudinal studies, which of the following is true-
1. Easy to conduct
2. Detects only one risk factor
3. Determines incidences of disease
4. Have increased bias

Correct answer: 3. Determines incidences of disease

Explanation: Longitudinal studies are useful: Study the natural history of the disease and its future outcome Identifying risk factors of disease Finding out incidence rate (refer pgno:70 park 23rd edition)